All of the following are true about theophylline except:
1. It acts by inhibiting phosphodiesterase enzyme
2. It is the drug of choice for exercise induced asthma
3. Therapeutic drug monitoring is needed for Theophylline
4. It is a CNS stimulant and can lead to seizures

Correct answer: 2. It is the drug of choice for exercise induced asthma

Explanation: Steroid is the drug of choice for excercise induced asthma, not theophylline.